Man is intermediate host of -
1. Kala azar
2. Filariasis
3. Hydatid cyst
4. All of the above

Correct answer: 3. Hydatid cyst

Explanation: Man as INTERMEDIATE HOST: (mnemonic: PET) Plasmodium Echinococcus granulosus (Hydatid cyst) Toxoplasma gondii In Tinea solium man may be intermediate or definitive Host.